Which of the following is FALSE regarding Neurofibromatosis inheritance:
1. Von Recklinghausen's Disease is due to defect in chromosome 17
2. Autosomal dominant type of inheritance
3. NF-2 - Musculoskeletal deformities is characterstic
4. NF-1 - Most common single gene disorder affecting human nervous system.

Correct answer: 3. NF-2 - Musculoskeletal deformities is characterstic

Explanation: NEUROFIBROMATOSIS (NF) NF - 1/Von Recklinghausen's Disease NF-2/Bilateral acoustic neurofibromatosis Most common single gene disorder affecting human nervous system. Peripheral neurofibromatosis, is due to defect in chromosome 17. AD inheritance 100% penetrance Due to defect in long arm of chromosome 22. AD inheritance Musculoskeletal deformities absent 8th nerve vestibular schwannomas Meningioma occur in 50% cases. Note: Usually Skeletal disorders are Autosomal Dominant and Inborn errors of metabolism are autosomal recessive